Zollinger Ellison syndrome is characterized by
1. Fulminating ulcer in stomach and duodenum
2. Recurrent ulceration despite adequate therapy
3. Non-beta islet cell tumors of the pancreas
4. All of the above

Correct answer: 4. All of the above

Explanation: Endocrine causes of duodenal ulcers can be Zollinger-Ellison syndrome, MEN syndrome, hyperparathyroidism.ZOLLINGER ELLISON SYNDROME is characterised by fulminant ulcer in stomach and duodenum and its recurrences in spite of adequate therapy .they are also characterised by non-beta cell islet tumours of pancreas Ref: SRB's manual of surgery,3 rd ed, pg no 774